True statement regarding Gap junctions among the following is
1. Behave as conduits to allow the direct passage of ions and small molecules between the cytoplasms of adjacent cells
2. Are located on the apical membrane of cells
3. Consist of homologous proteins that are identical in the epithelia of different organs
4. Are also known as desmosomes

Correct answer: 1. Behave as conduits to allow the direct passage of ions and small molecules between the cytoplasms of adjacent cells

Explanation: Gap junctions assist in coordinating the activities of adjacent cells within the epithelial sheet by allowing them to behave as syncytia with respect to the transfer of small molecules.